In 'complete cleft palate' the hard palate is totally separated from:
1. Maxilla
2. Soft palate
3. Vomer
4. All

Correct answer: 3. Vomer

Explanation: When the nasal septum and vomer are completely separated from the palatine processes then the cleft is known as complete cleft palate. There is a cleft in the hard palate but remains attached to the nasal septum and the vomer is known as incomplete cleft palate.